What is the position of leg in tubercular arthritis in synovitis stage:
1. Flexion, adduction, Internal rotation
2. Flexion, abduction, Internal rotation
3. Flexion, abduction, External rotation
4. Extension, abduction internal rotation

Correct answer: 3. Flexion, abduction, External rotation

Explanation: Ans. (c) Flexion abduction External rotationRef: Maheshwari 5th ed. /196* The tuberculosis of hip mainly progresses through three stages.# Stage of Synovitis (FABER - AL)# Stage of Arthritis ( FADIR - AS )# Stage of Erosion ( FADIR - TS )* The mnemonics indicate the orientation and appearance of the lower limb during those stages of TB# FABER - AL: stands for Flexion, ABduction, External Rotation and Apparent Lengthening.# FADIR - AS: stands for flexion, adduction, internal rotation and apparent shortening.# FADIR - TS: stands for flexion, adduction, internal .rotation and true shortening.